Reaction of the tooth to trauma include
1. Pulpal hyperemia
2. Internal hemorrhage
3. Internal resorption
4. All of the above

Correct answer: 4. All of the above